The sputum examination under DTP is done when the patient present with – a) Cough of 1–2 wks durationb) Persistent cough of 1–2 wks durationc) Hemoptysisd) Chest paine) Intermittent fever
1. ab
2. bc
3. bd
4. cd

Correct answer: 4. cd

Explanation: Sputum exam. done under DTP if :
Persistent cough of about 3-4 weeks duration.
Continuous fever
Chest pain
Haemoptysis
Unexplained weight loss
Reduced appetite